Monteggia fracture is:
1. of proximal 1 /3rd ulna w ith dislocation of radioulnar joint
2. of distal 1 /3rd of ulna with dislocation of radioulnarJoint
3. of atlas
4. of distal l/3rd of radius with dislocation of radioulnar joint

Correct answer: 1. of proximal 1 /3rd ulna w ith dislocation of radioulnar joint

Explanation: Ref: Aples's Svstem of Orthopaedics and Fractures, 9th edition, Pages 770 and 773Explanation:MONTEGGIA FRACTUREThe injury described by Monteggia in the early nineteenth century (without the benefit of X-rays!).Fracture of shaft of the proximal third of ulna associated with dislocation of the proximal radio-ulnar joint.The radio-capitellar joint is dislocated.Recently, the definition has been extended to embrace almost any fracture of the ulna associated with dislocation of the radio- capitellar joint, including trans-olecranon fractures with dislocation of proximal radioulnar joint (Hume fracture).If the ulnar shaft fracture is angulated with the apex anterior (the most common type) then the radial head is displaced anteriorly, if the fracture apex is posterior, the radial dislocation is posterior, and if the fracture apex is lateral then the radial head will he laterally displaced.In children, the ulnar injury may he an incomplete fracture (greenstick or plastic deformation of the shaft).Fractures of the distal third of radius with dislocation of the ulnar head from the distal radio-ulnar joint was described by Galeazzi in 1934 and named after him. It is commoner than Monteggia fracture dislocation.Note* Monteggia fracture - Fracture proximal one- third of ulna with dislocation of radial head* Galleazzi fracture - Fracture distal one-third of radius with disruption of the distal radioulnar joint